Which of the following product is primarily filtered with little secretion or re - absorption in renal tubules?
1. Sodium
2. Creatinine
3. Glucose
4. Amino acids

Correct answer: 2. Creatinine

Explanation: Ans. (b) Creatinine(Ref: Ganong, 25th ed/p.679)Substances like inulin and creatinine are useful to estimate GFR because they are freely filtered, neither resorbed, nor secreted